Cotrimoxazole is the drug of choice for:
1. Actinomyces
2. Nocardia
3. Both 1 and 2
4. None of the above

Correct answer: 2. Nocardia

Explanation: DOC for Nocardia : Cotrimoxazole
DOC for Actinomyces : Penicillin